Which of the following is true about Enteropathogenic E coli -
1. Causes diarrhea in infants
2. Acts by invasion of Intestinal epithelial cells
3. Adults are mostly affected
4. Affects immunocompromised host

Correct answer: 1. Causes diarrhea in infants